Comparison of proportions can be made by:
1. 't' test
2. Chi-square test
3. ANOVA
4. Correlation & Regression

Correct answer: 2. Chi-square test